Which of the following is not a side effect of amitriptyline -
1. Constipation
2. Fine tremors
3. Weight loss
4. Dry mouth

Correct answer: 3. Weight loss

Explanation: Ans. is 'c' i.e., Weight loss TCAs (e.g. amitriptyline) cause weight gain